Which of the following stain is used to detect the capsule of Cryptococcus neoformans in a CSF sample?
1. Grams stain
2. Zeihl neelson stain
3. India ink preparation
4. Methanamine-Silver stain

Correct answer: 3. India ink preparation

Explanation: Capsule of cryptococcus neoformans in a CSF sample is best seen by India ink preparation. Gomori methanamine stain, PAS stain and Alcian blue stain are also used in identifying this organism. Ref: Handbook for Zoonotic Diseases of Companion Animals By Glenda Dvora, 1st Edition, Pages 108-9